The biological oxygen demand indicates-
1. Organic matter
2. Bacterial content
3. Anaerobic bacteria
4. Chemicals

Correct answer: 1. Organic matter

Explanation: Park's textbook of preventive and social medicine 23rd edition. *Aim of sewage treatment is to stabilize the organic matter,the strength of sewage is expressed in terms of biological oxygen demand.